Primary bacterial peritonitis is reported in all these conditions, EXCEPT:
1. Chronic active hepatitis
2. Acute viral hepatitis
3. Congestive heart failure
4. Acute nephritis

Correct answer: 4. Acute nephritis

Explanation: Primary bacterial peritonitis (PBP) occurs most commonly in conjunction with cirrhosis Other conditions which may cause PBP are Metastatic malignant disease, Postnecrotic cirrhosis, Chronic active hepatitis, Acute viral hepatitis, Congestive heart failure, Systemic lupus erythematosus Lymphedema No underlying disease Ref: Harrison, E-18, P-1080.